Most common site of artery of atherosclerosis -
1. LAD
2. RCA
3. LCX
4. Diagonal branch of LAD

Correct answer: 1. LAD

Explanation: Ans is 'a' i.e., Left Anterior descending artery o The most common site of myocardial infarction us anterior wall of left ventricle and the most common artery involved is anterior wall of left ventricle located near apex.Myocardial infarctionCommonUncommonRareo Left anterior descendingo Left main coronary artery.o Penetratingartery (40%-5O%)Secondary branchesInframyocardial branchesIt is branch of left coronary# Diagnol branches of LAD.of coronary arteries,artery and affects.# Marginal branches # Anterior wall of i.v. near apex. # Anterior portion of ventricular system. o Right coronary Artery (30-40%) # Inferior posterior wall of i.v. # Posterior portion of ventricular septum. # Infetrior/posterior right ventricular free wall. o Left circumflex (15-20%) # Lateral wall of left ventricle except the apex.